All are involved MEN type II A except
1. parathyroid
2. Adrenal
3. Thyroid
4. Pituitary

Correct answer: 4. Pituitary

Explanation: MEN2A or Supple syndrome constitutes pheochromocytoma : Adrenal medullary carcinoma :thyroid Parathyroid hyperplasia. It is due to germline mutation of RET proto oncogene . Pituitary abnormalities are seen in MEN1.